The DSM IV classification of psychiatric disorder as proposed by American Psychiatry Association classifies and helps in diagnosing the patient on multiple axes. Of these, axis V represents the degree of
1. Present state of symptoms
2. Comorbid medical condition
3. Global assessment of function
4. Comorbid psychological problem

Correct answer: 3. Global assessment of function

Explanation: Axis I Axis I consists of clinical disorders and other conditions that may be a focus of clinical attention. Axis II Axis II consists of personality disorders and intellectual disability. Axis III Axis III lists any physical disorder or general medical condition that is present in addition to the mental disorder. Axis IV Axis IV is used to code the psychosocial and environmental problems that contribute significantly to the development or exacerbation of the current disorder. Axis V Axis V is a global assessment of functioning (GAF) scale in which clinicians judge patients' overall levels of functioning during a particular time. Reference: Kaplan & Sadock's Synopsis of Psychiatry: Behavioral Sciences/Clinical Psychiatry, 10th Edition, page 306.